Epidemic keratoconjunctivitis is caused by
1. Corona virus
2. Epstien-Barr virus
3. Picorna virus
4. Adenovirus

Correct answer: 4. Adenovirus

Explanation: Ans. d (Adenovirus). (Ref. Textbook of Microbiology by Anantanarayan, 6th/451)INFECTION BY ADENOVIRUS SyndromesPrinciple serotypes1Respiratory disease in children1, 2, 5, 62Sore-throat, febrile cold, pneumonia3, 4, 7, 14, 213ARDS in military recruits4, 7, 214Follicular (swimming pool) conjunctivitis3,75Epidemic kerato conjunctivitis sicca8, 19, 37Q6Diarrhoea40, 417Soft tissue sarcoma and bladder carcinoma18,198Gene therapy2,59AIDS43, 47